All are done in quadruple test in downs syndrome except:
1. AFP
2. HCG
3. PAPP
4. inhibin-A

Correct answer: 3. PAPP

Explanation: Ref: Dutta Textbook of Obstetrics 5th ed pg 493Explanation:Triple TestMS AFPL'nconjugated estrio! HCG 'Quadruple TestMS AFPUE3HCGInhibin-AIntegrated TestNTPAPP-AHCGDowns SyndromeIncreased Inhibin -AIncreased HCGDecreased MSAFPDecreased PAPPDecreased UE3